An 8 days old child presents with yellow sclera, whitish stool and turmeric colour urine on the 3rd day of septicemia on broad-spectrum antibiotics, the likely diagnosis is –
1. Galactosidase deficiency
2. Ammonia toxicity
3. Galactose 1–4 phosphatase uridyl transferase deficiency
4. Glucose 6 phosphatase deficiency

Correct answer: 3. Galactose 1–4 phosphatase uridyl transferase deficiency

Explanation: A feature of conjugated bilirubinemia on the 3rd day accompanied by sepsis in a neonate suggests diagnosis of Galactosemia.
Due to the accumulation of galactitol; damage to nerve tissue and liver occurs which cause.


Hepatic parenchymal disease- jaundice, hepatomegaly and ascites
Intellectual disability                                              
Vitreous hemorrhage 
Acidosis   
Splenomegaly
Cataract 
Seizures
Hypoglycemia    


Fanconi syndrome → Aminoaciduria, proteinuria and phosphaturia.
The symptoms of the severe from of the disease are similar to the symptoms of the patient child in the Question -i Jaundice, hepatomegaly vomiting and septicemia (due to E. coli).